Portocaval anastomosis is seen at all of the following places, except?
1. Gastroesophageal junction (lower end of esophegus)
2. Rectum
3. Spleen
4. Liver

Correct answer: 3. Spleen

Explanation: Spleen